True about interstitial fibrosis -a) FVC↓b) FEV1/FVC normal or increasedc) FRC normald) FEV1/FVC ↓
1. ac
2. a
3. ad
4. ab

Correct answer: 4. ab